"Hairy Tongue" is a condition in which certain structures become enlarged.
1. Fungiforrn papillae
2. Filiform papillae
3. Circumvallate papillae
4. Taste buds

Correct answer: 2. Filiform papillae